Persistent urachus is a risk factor for
1. Transitional cell ca of bladder
2. Adenocarcinoma of bladder
3. Squamous cell ca of bladder
4. Undifferentiated ca of bladder

Correct answer: 2. Adenocarcinoma of bladder

Explanation: Sepsis, tuberculosis, adenocarcinoma of bladder can occur in patients with patent urachus. Patent urachus with urine leak signifies obstruction distal to bladder. Reference : page 1029 SRB's manual of surgery 5th edition